Conjugated hyperbilirubinemia in infancy is seen in:
1. Gilbert syndrome
2. Crigler Najjar syndrome
3. Dubin Johnson syndrome
4. Erythroblastosis fetalis

Correct answer: 3. Dubin Johnson syndrome

Explanation: Conjugated hyperbilirubinemia in infancy is seen in: Dubin Johnson syndrome